U/L non-suppurative Otitis media in adults is due to:
1. Allergic rhinitis
2. URTI
3. Trauma
4. Malignancy

Correct answer: 4. Malignancy

Explanation: (d) Malignancy(Ref. Scott Brown, 8th ed., Vol 2; 973)Any adult presenting with U/L non-suppurative Otitis media should be investigated for nasopharyngeal carcinoma which might be obstructing that particular side Eustachian tube.If serous Otitis media occurs because of overproduction of middle ear fluid due to allergy, it will be bilateral.URTI may lead to ASOM.Trauma does not lead to Serous Otitis media.